Subepidermal bulla is seen in -
1. Pemphigoid
2. Pemphigus
3. Pityriasis rosea
4. Psoriasis

Correct answer: 1. Pemphigoid